Atypical antipsychotic are all except?
1. Olanzepine
2. Clozapine
3. Risperidone
4. Thioridazone

Correct answer: 4. Thioridazone